Prussacks's space is situated in-
1. Epitympanum
2. Hypotympanum
3. Mesotympanum
4. Eustachian Tube

Correct answer: 1. Epitympanum

Explanation: Ans. is 'a' i.e., Epitympanum o Prussak's space is a small space between the shrapnel's membrane / pars flaccida laterally, neck of malleus medially, short process of malleus below and lateral process of malleus above.o Prussak's space communicates with epitympanum through a posterior gap.o Prussak's space is important because it is a site for pars flaccida acquired cholesteatoma formation.